LEAST common presentation of fibroid uterus is?
1. Infertility
2. Amenorrhoea
3. Pelvic mass
4. Menorrhagia

Correct answer: 2. Amenorrhoea

Explanation: Symptoms of fibroid uterus Menorrhagia, polymenorrhoea, metrorrhagia, continuous or postmenopausal bleeding Infertility, recurrent abortions Pain Pressure symptoms Abdominal lump Vaginal discharge